Caudal regression syndrome is seen in babies of mother having:
1. Diabetes
2. PIH
3. Cardiac disease
4. Anaemia

Correct answer: 1. Diabetes

Explanation: Ans. is a, i.e. DiabetesRef. Fernando Arias 3/e, p 454; COGDT 10/e, p 312"The lesion classically associated with diabetic embryopathy, the 'caudal regression syndrome', is rare, with an incidence of 1.3 per 1000 diabetic pregnancies". --Fernando Arias 3/e, p 454